The main causative organism of Gas gangrene is
1. Bacillus anthrax
2. Cloastridium tetani
3. Clostridium defficile
4. Clostridium perfringens

Correct answer: 4. Clostridium perfringens

Explanation: Gas gangrene is caused by Clostridium PerfringensRef: Harrison's Principles of Internal Medicine; 19th edition; Chapter 156; Infections of the Skin, Muscles, and Soft Tissues